An infant has papulovesicular lesions on palms, soles, face and trunk. The diagnosis would he
1. Scabies
2. Atopic dermatitis
3. Urticaria
4. Seborrhoic dermatitis

Correct answer: 1. Scabies

Explanation: Ans. a. Scabies Scabies: Primary lesions are of three types:Q Burrow: Serpentine (S-shaped) path traversed by parasite in stratum corneumQ. It is pathognomic of lesion. Papules and papulovesicles: Due to hypersensitivityto the mite Fine pin head size follicular papules Scalp, face, palms and soles are characteristically spared in adultsQ. In infants, scalp, face, palms and soles are typically involvedQ. Atopic dermatitis: In order to qualify as a case of atopic dermatitis with the UK refinement of Hanifin and Rajka's diagnostic criteria for atopic dermatitis, the child must have An itchy skin condition (or parental report of scratching or rubbing in a child)plus Three or more of the following: Onset below age 2 years (not used if child is under 4 years) History of skin crease involvement (including cheeks in children under 10 years) History of a generally dry skin Personal history of other atopic disease (or history of any atopic disease in a first degree relative in children under 4 years) Visible flexural dermatitis (or dermatitis of cheeks/forehead and outer limbs in children under 4 years) Urticaria: Present with wheals, angioedema or both. Wheals is the descriptive term for transient, well-demarcated, superficial erythematous or pale swellings of the dermis, which are usually very itchy and are associated with a surrounding red flare initially. Angioedema swellings affect the deeper dermal, subcutaneous and submucosal tissues. They are usually painful rather than itchy, poorly defined, and pale or normal in colour Seborrhoeic Dermatitis: Occurs on hairy sites, flexures or on central trunk Characterized by itching or burning, severe dandruff, greasy yellow scales (stuck on appearance)